Which arm of tRNA binds it to vibosomal surface
1. DHU arm
2. Pseudouridine arm
3. Acceptor arm
4. Anticodon arm

Correct answer: 2. Pseudouridine arm

Explanation: Pseudoridine arm of tRNA is involved in binding of aminoacyl tRNA to ribosomal surface.